High dose methotrexate is used for the treatment of(REPEAT)
1. Osteosarcoma
2. Rhabdomyosarcoma
3. Retinoblastoma
4. Ewing's sarcoma

Correct answer: 1. Osteosarcoma

Explanation: Ref: Harrison's 17th/612 Drugs used for osteosarcoma are: Doxorubicin Ifosfamide Cisplatin High dose methotrexate with leucovorin